All of the following can cause SLE-like syndrome except
1. Isoniazid
2. Penicillin
3. Hydralazine
4. Sulphonamide

Correct answer: 2. Penicillin

Explanation: Hydralazine, procainamide, sulphonamide, isoniazid- causes SLE like syndrome Also, these drugs undergo acetylation Ref: KD Tripathi 8th ed